During spermatogenesis FSH is inhibited by -
1. Inhibin
2. GnRH
3. Testosterone
4. LH

Correct answer: 1. Inhibin

Explanation: Ans is 'a'i.e., Inhibin Endocrine control of spermatogenesiso Hypothalamus is critical in the development of male organs and spermatogenesis, and produces GnRH continuously and, not in a pulsatile fashion as in a femaleo GnRH increases the seretion of FSH and LH from pituitary gland.o FSH is not essential for spermatogenesis; it acts on the Sertoli cells and produces androgen-binding protein.o Sertoli cells produce anti-Miillerian inhibiting hormone, (MIH) and inhibin. Inhibin inhibits FSH secretion and MIH inhibits development of Mullerian system.o LH stimulates testosterone secretion by the Leydig cells.o Hypothalamic failure leads to loss of spermatogenesis and testosterone production.